All are Anterior relations of the Right kidney except:
1. Suprarenal gland
2. Hepatic flexure of the colon
3. Third part of the duodenum
4. Liver

Correct answer: 3. Third part of the duodenum

Explanation: C i.e. Third part of duodenum